Which of the following is not STD
1. Hepatitis A virus
2. HPV
3. HIV
4. Hepatitis B virus

Correct answer: 1. Hepatitis A virus

Explanation: Hepatitis A virus transmission is by the fecal-oral route. Infection is by ingestion. The virus multiplies in the intestinal epithelium and reaches liver by hematogenous spread. It is shed in the faeces during the late incubation period and prodromal phase of illness. All other options are sexually as well as parenterally transmitted diseases. Ref: Ananthanarayan& Paniker's textbook of microbiology, 9th edition. Pg no.541